Neurotransmitter of inner hair cells
1. GABA
2. Glutamate
3. Glycine
4. Acetyl choline

Correct answer: 2. Glutamate

Explanation: Hair cells: - Hair cells are surrounded by endolymph Endolymph is high in K+ concentration. Basilar fibre vibration | Shearing force created in Reticular lamina & tectorial membrane | Bending of the stereocilia | Opening of K+ channels | K+ enter hair cells | Depolarization Of hair cells. | Depolarization then open voltage gated Ca++ channels. | Ca++ enter hair cells | Glutamate (NT) is released at the synapse | Glutamate causes excitation of the VIIIth nerve